Causes of localized hypopigmented macule or patch are all except ?
1. Vitiligo
2. Piebaldism
3. Pityriasis alba
4. Freckle

Correct answer: 4. Freckle

Explanation: Ans. is 'd' i.e., Freckle